In 3 x 3 table, degree of freedom is -
1. 2
2. 4
3. 9
4. 16

Correct answer: 2. 4

Explanation: Ans. is 'b' i.e., 4 o Degree of freedom = (C-l) (R-l) = (3-1) (3-1) = 4Contingency tableDegree of freedom (dof)2x2 table(2 - 1) (2 - 1) = 13x3 table(3-1) (3-1) = 44x4 table(4 - 1) (4 - 1) = 95x5 table(5- 1) (5 - 1)= 163x4 table(3 - 1) (4 - 1) = 610 x 20 table(10 - 1) (20 - 1) = 171